When are the crowns of the primary maxillary second molars completed?
1. 11 months.
2. 10 months.
3. 9 months.
4. 8 months.

Correct answer: 1. 11 months.